Pemphigus vulgaris is characterized by all, except:
1. Positive Nikolsky's sign
2. Oral erosions
3. Subepidermal bulla
4. Tzanck smear showing acantholytic cells

Correct answer: 3. Subepidermal bulla

Explanation: Pemphigus vulgaris is an intraepidermal blistering disease.